What will happens to structure of alpha-helix if L-alanine is replaced by d-alanine alternatively
1. Change in optical activity
2. Interruption of structure
3. Increased stereoisomerism
4. Increased stability

Correct answer: 2. Interruption of structure

Explanation: Ans. is 'b' i.e., Interruption of structureD-amino acid would interrupts an a-helix made of L-amino acid.D-amino acid substitution in a-helix causes a local change in structure and flexibility at the substituted site, which leads to destabilization